Gartner duct cyst is the remnant of the following embryological structure?
1. Mullerian duct
2. Wolffian duct
3. Cloacal duct
4. Epoophoron

Correct answer: 2. Wolffian duct

Explanation: Gartner duct cysts are uncommon vaginal cysts develop from remnants of the mesonephric (Wolffian) ducts. They are typically asymptomatic and are usually found within the lateral vaginal wall. Symptoms may include dyspareunia, vaginal pain, and difficulty inserting tampons or other vaginal devices. Examination reveals a tense cyst that is palpable or seen to bulge beneath the lateral vaginal wall. Marsupialization or excision may be appropriate for symptomatic Gartner duct cysts.